Symptoms of secondary syphilis are all except:
1. Localized or diffuse mucocutaneous lesion
2. Generalized and tender lymphadenopathy
3. Self resolving
4. Condyloma lata is seen

Correct answer: 2. Generalized and tender lymphadenopathy

Explanation: Ans. B: Generalized and tender lymphadenopathy Secondary syphilis can often occur several weeks after the chancre heals, once the bacteria have spread through the body. The protean manifestations of the secondary stage usually involves localized or generalized mucocutaneous lesion and generalized nontender lymphadenopathy. Common symptoms include headache, achiness, loss of appetite and a rash. The rash in secondary syphilis is usually reddish-brown in color, not itchy and widespread. However, the appearance of the rash's individual lesions can vary dramatically: they may be flat or raised; they may or may not be scaly; and there may or may not be pustules present. It is partially do to the variablity of this rash that led to syphilis being called "the great imitator," because it can resemble many other conditions. The rash can last for a few weeks or months. In warm moist interiginuous area (perianal region, vulva or scrotum) condyloma lata can be seen. Other symptoms of secondary syphilis include sores in the mouth, nose, throat, and on the genitals or folds of the skin. Patchy hair loss can occur. All the signs and symptoms of the second stage of syphilis disappears without treatment in 1 to 6 months.